Developmental milestone attained at 9 months of age is?
1. Knows full name and gender
2. Monosyllables
3. Stands with support
4. Builds tower of 2 blocks

Correct answer: 3. Stands with support

Explanation: Developmental milestones:- GROSS MOTOR DEVELOPMENT: 2 months: Holds head in the plane of rest of the body when held in ventral suspension. In the prone position in bed, the chin lifts momentarily. 3 months: lift head above the plane of the body. Head control starts by 3 months and fully developed by 5 months. 4 months: Remain on forearm support if put in prone position, lifting the upper part of the body off the bed. 5 months: Rolls over. 6 months: sit in a tripod fashion. 8 months: sits without support., crawling 9 months: Takes a few steps with one hand held. Pulls to standing and cruises holding on to furniture by 10 months. 10 months: creeps 12 months: creeps well, walk but falls, stand without support. 15 months: walks well, walks backward/ sideways pulling a toy. May crawl upstairs. 18 months: Runs, walks upstairs with one hand held. Explores drawers 2 years: walk up and downstairs, jumps. 3 years: rides tricycle, alternate feet going upstairs. 4 years: hops on one foot, alternate feet going downstairs. 5 years: skips FINE MOTOR DEVELOPMENT:- 2 months- eyes follow objects to 180 deg. 3 months-Grasp reflex disappears and hand is open most of the time. 4 months- Bidextrous approach( reaching out for objects with both hands). 6 months- Unidextrous approach( Reach for an object with one hand). 8 months- radial grasp start to develop. Turns to sound above the level of ear. 9 months- immature pincer grasp, probes with the forefinger. 12 months-Unassisted pincer grasp. Releases object on request.Uses objects predominantly for playing, not for mouthing. Holds block on each hand and bang them together. 15 months- imitate scribbling, tower of two blocks 18 months- scribbles, tower of 3 blocks. turn pages of a book, 2-3 at a time. 2 years- tower of 6 blocks, vertical and circular stroke. 3 years-Tower of 9 blocks, dressing and undressing with some help, can do buttoning. 4 years- copies cross, bridge with blocks 5 years- copies triangle, gate with blocks. SOCIAL AND ADAPTIVE MILESTONES: 2 months: social smile(smile after being talked to).watches mother when spoken to and may smile. 3 months: Recognizes mother, anticipates feeds. 4 months: Holds rattle when placed in hand and regards it. Laughs aloud. Excited at the sight of food. 6 months: recognizes strangers, stranger anxiety. Enjoy watching own image in the mirror, shows displeasure when toy pulled off. 9 months: waves bye bye 12 months comes when called, plays a simple ball game. kisses the parent on request. Makes postural adjustments for dressing. 15 months: jargon, starts imitating mother. 18 months: copies parents in tasking, dry by day, calls mother when he wants potty, points to three parts of the body on request. 2 years: ask for food, drink, toilet, pulls people to show toys. 3 years: shares toys, know full name and gender, dry by night. 4 years: Plays cooperatively in a group, goes to the toilet alone, washes face, brushes teeth. Role play. 5 years helps in the household task, dresses and undresses. LANGUAGE MILESTONES: 1 month: Alerts to sound. 2 month: respond to sound by startle or quietening to a smooth voice. 3 months: babbles when spoken to. Makes sounds (ahh, coos, ) laughs. 4 months: laughs aloud. 6 months: monosyllables 9 months: understands spoken words, bisyllables. 12 months: 1-2 words with meaning. 18 months: a vocabulary of 10 words. Can name one part of the body. 2 years: 3-word simple sentences 3 years: asks questions, knows full name and gender. 4 years: says songs or poem, tells a story, knows three colors. 5 years: ask the meaning of words. Reference: GHAI Essential pediatrics, 9th edition